Nerve commonly injured in classical radical neck neck dissection is?
1. Long thoracic nerve
2. Thoracodorsal nerve
3. Dorsal scapular nerve
4. Accessory Nerve

Correct answer: 4. Accessory Nerve

Explanation: The main disability that follows the Classical Radical Neck Dissection is weakness and drooping of the shoulder due to paralysis of the trapezius muscle as a consequence of excision of the accessory Nerve. Reference : Bailey & Love, 27th Edition, page no = 758.